In nerve, the magnitude of the action potential overshoot is normally a function of the
1. Magnitude of the stimulus
2. Intracellular potassium concentration
3. Extracellular sodium concentration
4. resting membrane potential

Correct answer: 3. Extracellular sodium concentration